It is considered as the bluntly rounded portion of the heart
1. Aorta
2. Apex
3. Base
4. Pericardium

Correct answer: 2. Apex

Explanation: B: The blunt, rounded point of the heart is the apex.
A: The aorta is the largest artery that carries blood from the left ventricle to the body.
C: The larger, flat portion at the opposite is the base.
D. The pericardium is also called the pericardial sac. It has a fibrous outer layer and a thin inner layer that surrounds the heart.